Clay Shoveller's fracture involves
1. Spinous process
2. Lamina
3. Pedicle
4. Body

Correct answer: 1. Spinous process

Explanation: Clay shoveller's fracture' is an avulsion of the spinous process of C6, C7 or T1 caused either by rotation of the upper trunk when the cervical spine is relatively fixed or, less commonly, as the result of a direct blow. Ref: Internet sources - Wikipedia src=" alt="" width="200" height="200" />